Memory impairment is most likely to occur in -
1. Downs Syndrome
2. Alkaptonuria
3. Attention deficit disorder
4. Conduct disorder

Correct answer: 1. Downs Syndrome